What is the earliest sign of volume overload immediate after an operative procedure?
1. Weight gain
2. Increased Blood Pressure
3. Peripheral oedema
4. Distended neck veins

Correct answer: 1. Weight gain

Explanation: Weight gain is the earliest sign of volume overload immediately after an operative procedure. It occurs most commonly due to excess of isotonic fluids because of overestimation of third-space losses or to ongoing GI losses which cannot be measured precisely. Volume overload can also present as: Increased cardiac output Increased central venous pressure Pulmonary edema Distended neck veins